Shortest acting mydriatic is?
1. Tropicamide
2. Atropine
3. Phenylephrine
4. Hyoscine

Correct answer: 1. Tropicamide

Explanation: Tropicamide REF: khurana 4th ed p. 68 shortest acting mydriatic - Tropicamide Only mydriatic and not cycloplegic - phenylephrine Used in children - Atropine